In Addison's disease drug to be given is
1. Hydrocortisone
2. Betamethasone
3. Prednisolone
4. DOCA

Correct answer: 1. Hydrocortisone

Explanation: Refer KDT 6/e p 283 In chronic adrenal insufficiency or Addinsons disease, hydrocortisone given orally IRTA the drug of choice Hydrocortisone is a glucocorticoid with maximum mineralocorticoid action